Nerve supply of pinna
1. Greater auricular nerve
2. Auriculotemporal nerve
3. Occipital nerve
4. All

Correct answer: 4. All

Explanation: A. i.e. Greater auricular nerve; B. i.e. Auriculotemporal nerve; C. i.e. Occipital nerve